Internal laryngeal nerve supplies?
1. Cricothyroid muscle
2. Vocalis
3. Mucous membrane below vocal fold
4. None of the above

Correct answer: 4. None of the above

Explanation: D i.e. None